The most direct precursor of taurine is:
1. Glycine
2. Cysteine
3. Methionine
4. Glutathione

Correct answer: 2. Cysteine

Explanation: Ans:B.)CysteineTaurine, glutathione, coenzyme A are specialized products contributed by cysteineTaurine/2-aminoethanesulfonic acid It is a major constituent of bile and can be found in the large intestineIt accounts for approximately 0.1% of total human body weight.Taurine has many fundamental biological roles such as conjugation of bile acids, antioxidation, osmoregulation, membrane stabilization and modulation of calcium signaling.It is essential for cardiovascular function, and development and function of skeletal muscle, the retina and the central nervous system.Taurine is unusual among biological molecules in being a sulfonic acid, while the vast majority of biologically occurring acids contain the more weakly acidic carboxyl group.Mammalian taurine synthesis occurs in the pancreas the cysteine sulfinic acid pathway.In this pathway, the sulfhydryl group of cysteine is first oxidized to cysteine sulfinic acid by the enzyme cysteine dioxygenase.Cysteine sulfinic acid, in turn, is decarboxylated by sulfinoalanine decarboxylase to form hypotaurine.